Commonest operation done for peptic ulcer with gastric outlet obstruction is -
1. Truncal vagotomy with pyloroplasty
2. Highly selective vagotomy with pyloroplasty
3. Truncal vagotomy with gastrojejunostomy
4. Gastrojejunostomy

Correct answer: 3. Truncal vagotomy with gastrojejunostomy